The most potent drugs to reduce plasma cholesterol level are:
1. Plant sterols
2. Fibrates
3. Anion exchange resins
4. Statins

Correct answer: 4. Statins